SGA baby is one whose body weight is?
1. Less than 10th percentile
2. Less than 80th percentile
3. <34 weeks gestational age
4. None of the above

Correct answer: 1. Less than 10th percentile

Explanation: ANSWER: (A) Less than 10th percentileREF: OP Ghai 7th ed p. 129Small for gestational age is a statistical definition which denotes an infant whose body weight is less than 10 percentile of the population norms.